At birth eye is usually
1. Hypermetropic
2. Myopic
3. Emmetropic
4. Aniseikonic

Correct answer: 1. Hypermetropic

Explanation: Newborn is usually hypermetropic by +2 to +3 D. Reference :- A K KHURANA; page:-11